Which of the following is not an Autosomal dominant disorder-
1. Polycystic kidney diesease
2. EDS
3. Osteogenesis imperfecta
4. Alkaptonuria

Correct answer: 4. Alkaptonuria